Ocular manifestations of dengue are all except
1. Cataract
2. Maculopathy
3. Vitreous hemorrhage
4. Optic neuropathy

Correct answer: 1. Cataract

Explanation: Ans. (a) CataractRef: American Academy of Ophthalmology, BSCS, Section 9/p. 219* Dengue fever - caused by Flaviviridiae and transmitted by Aedes aegyptiOcular manifestations* Petechial subconjunctival hemorrhage - most common manifestation* Maculopathy (bilateral and asymmetric) - in 10% patients after one month of onset of systemic disease, causing sudden loss of vision and central scotoma* Optic disc hyperemia* Intraretinal hemorrhages with periphlebitis* Yellow subretinal dots* RPE mottling* Fovealitis